All of the following statements regarding disposal of biomedical waste are true, EXCEPT:
1. Human Anatomical Waste is disposed in a Yellow bag
2. Contents from a Red bag may be a source of contamination
3. Block bags are used for disposal of ash from incineration
4. Blue bags contents are disposed in secured landfill

Correct answer: 4. Blue bags contents are disposed in secured landfill

Explanation: The blue or white translucent plastic bag is used for sharps (needles, syringes, scalpels, blades, glass etc. that may cause puncture or cuts) and solid wastes such as waste generated from disposable items like tubings, catheters, intravenous sets etc. These wastes are treated by autoclaving/microwaving/chemical treatment and destruction/shredding. The wastes in the black bags are treated by disposal in a secured landfill. Ref: Preventive and Social Medicine, By K.Park, 19th edition, Page 648, 649